Chromosome number of partial hydatidiform mole most commonly is:-
1. 46 XX
2. 45 XO
3. 46 XXY
4. 69 XXX

Correct answer: 4. 69 XXX

Explanation: Complete mole Partial mole No fetal tissue Fetal tissue present in a partial mole 90% are 46, XX, and 10% are 46, XY. All chromosomes are of paternal origin 69, XXX most common , or 69, XXY An Empty oocyte is fertilized by a haploid sperm (which then duplicates its chromosomes), or, an empty oocyte is fertilized by 2 sperms This results from fertilization of a haploid ovum by 2 sperms, both carrying X chromosome mostly Diffuse swelling of Chorionic villi Scalloping not seen Partial Swelling of chorionic villi Scalloping of villi seen There is diffuse trophoblastic hyperplasia Focal hyperplasia of trophoblastic tissue